The first gene therapy (somatic enzyme) was successfully done in -
1. SCID
2. Phenylketonuria
3. Thalassemia
4. Cystic fibrosis

Correct answer: 1. SCID

Explanation: SCID was 1st disease that was successfully treated by gene therapy.